Resistance to acyclovir is most commonly due to mutation in a viral gene that encodes a protein that :
1. Converts viral RNA into DNA
2. Phosphorylates acyclovir
3. Transports acyclovir into the cell
4. Transports acyclovir out of the cell

Correct answer: 2. Phosphorylates acyclovir